Portal vein begins at the level of which vertebra?
1. L2
2. L4
3. L5
4. None of the above

Correct answer: 1. L2

Explanation: The portal vein begins at the level of the second lumbar vertebra and is formed from the convergence of the superior mesenteric and splenic veins. It is 8 cm long and lies anterior to the inferior vena cava and posterior to the neck of the pancreasRef: Gray's anatomy 40th edition, Chapter 85.